Marginal lymphoma is type of -
1. B cell lymphoma
2. T cell lymphoma
3. NK cell lymphoma
4. Hodgkins lymphoma

Correct answer: 1. B cell lymphoma

Explanation: Ans. is 'a' i.e., B cell lymphomao Marginal zone lymphoma is a type of non-hodgkins lymphoma. It includes three diseases that have been historically classified together because they appear to arise from post germinal centre marginal zone B-cells and share a similar immunophenotype i.e. all of them are positive for B-cell markers CD 19, CD 20, and CD 22 and negative for CD 5, CD 10 and usually CD 23.o The three diseses in this cateeorv that are recognized in the REAL/WHO classification system includes.Extranodal marginal zone B-cell lymphoma of mucosa associated lymphoid tisse (MALT) type (MALT-type lymphoma. MALT lymphoma)Nodal marginal zone B-cell lymphoma.Splenic marginal zone B-cell lymphoma.